Not a branch of facial nerve
1. Branch to stylohyoid muscle
2. Chorda tympani nerve
3. Lingual nerve
4. Greater petrosal nerve

Correct answer: 3. Lingual nerve

Explanation: The lingual nerve is a branch of the mandibular division of the trigeminal nerve (CN V3), which supplies sensory innervation to the tongue. It also carries fibers from the facial nerve, which return taste information from the anterior two-thirds of the tongue, via the chorda tympani.